Maximum potassium reabsorption occurs in?
1. Proximal convoluted tubule
2. Distal convoluted tubule
3. Cortical collecting duct
4. Medullary collecting duct

Correct answer: 1. Proximal convoluted tubule

Explanation: Ans. is'a'i.e., Proximal convoluted tubule[Rl Guyton 12n/e p. 334)Most of the solutes and water are maximally absorbed in proximal tubule :-60-70% of Na* is reabsorbed along with 6O-70% of Cl-60-70% of K+ is reabsorbed